An elderly male presents with anemia and fatigue. O/E splenomegaly-2 cm palpable below costal margin. Hemogram showed Pancytopenia. Which is the most common etiology?
1. Hairy cell leukemia
2. CML
3. Thalassemia
4. Follicular lymphoma

Correct answer: 1. Hairy cell leukemia

Explanation: Ans. (a) Hairy cell leukemia(Ref: R 9th/pg 603-604)In the given scenario an elderly male presents with Anemia, Splenomegaly & Pancytopenia.Discussing the options one by one:Hairy cell Leukemia: Chronic B-cell leukemia characterized by hairy cells, pancytopenia and splenomegaly QCML: Massive splenomegaly with Basophilic Leukocytosis seenThalassemia: Jaundice, severe anemia (requiring transfusion), hepatosplenomegaly with leukoerythroblastosis, usually presents in childhoodFollicular lymphoma: Lymphadenopathy +- Leukocytosis